Duration of adolescent stage in boys is
1. 3 years
2. 3-5 years
3. 4 years
4. 5 years

Correct answer: 4. 5 years